Sodium fluoride inhibits which enzyme in glycolysis?
1. Hexokinase
2. Pyruvate kinase
3. Aconitase
4. Enolase

Correct answer: 4. Enolase

Explanation: Inhibitors
Enzyme Inhibited




Iodoacetate
Arsenate
Sodium fluoride
Glyceraldehyde 3 phosphate dehydrogenase
1,3 BPG Kinase
Enolase